Drug of choice for hypertensive emergency in pregnancy is:
1. Methyldopa
2. Nitroprusside
3. Labetalol
4. Nicardipine

Correct answer: 3. Labetalol

Explanation: Labetalol is DOC for hypertension in pregnancy whether it is routine or emergency HTN. DOC for hypertensive emergency in non pregnant patients is Nicardipine.